True about antemortem wound is
1. No staining left after washing
2. No gaping
3. Uncoagulated blood
4. Arterial bleed

Correct answer: 4. Arterial bleed

Explanation: Ans. d (Arterial bleed)The antemortem abrasions show signs of inflammation and repair and a little swelling is present in the area whereas these signs are absent in postmortem abrasions.As abrasions alone are not too significant; not much of importance is placed on them.The other part is that the ants attack the dead body and hence there may be additional injuries found in the form of abrasions besides those mentioned in the FIR. Thus there will be some difference between the two but this is not significant provided the additional abrasions are found in the areas described earlier (Post mortem) and thebody was examined after a lapse of time. Thus the characters of such abrasions should be noted and if found of PM nature, they should be ignored as they are of no value but if they are described as antemortem abrasions, the issue may be argued accordingly. Those points which cannot be argued out because the findings given are inadequate, such points may be elicited cunningly in scientific cross examination.